Recurrent laryngeal nerve is in close association with-
1. Superior thyroid artery
2. Inferior thyroid artery
3. Middle thyroid vein
4. Superior thyroid vein

Correct answer: 2. Inferior thyroid artery